Jumping gene is known as?
1. Transposon
2. Retroposon
3. Insertion sequence
4. Integron

Correct answer: 1. Transposon

Explanation: * Transposons, also called jumping genes, are pieces of DNA that move readily from one site to another.* They move either within or between the DNAs of bacteria, plasmids and bacteriophages in a manner, that plasmid genes can become part of the chromosomal complement of genes.* Interestingly, when transposons transfer to a new site, it is usually a copy of the transposon that moves, while the original remains in situ (like photocopying).* Transposons can code for metabolic or drug resistance enzymes and toxins. They may also cause mutations in the gene into which they insert or alter the expression of nearby genes.* In contrast to plasmids or bacterial viruses, transposons cannot replicate independently of the recipient DNA. More than one transposon can be located in the DNA for example, resistance genes. Thus, transposons can jump from:# The host genomic DNA to a plasmid# One plasmid to another# A plasmid to genomic DNA.* An insertion sequence is a short DNA sequence that acts as a simple transposable element. Insertion sequences have two major characteristics: they are small relative to other transposable elements (generally around 700 to 2500bp in length) and only code for proteins implicated in the transposition activity (they are thus different from other transposons, which also carry accessory genes such as antibiotic resistance genes.